Cushing Ulcer seen in
1. Stress ulcer in Head injury
2. Stress ulcer in Burns
3. Ulcer in Crohn's disease
4. Ulcer in Hiatus hernia

Correct answer: 1. Stress ulcer in Head injury

Explanation: * Cushing ulcer: Ulcer in stomach in stress and head injury (Most common site is body and fundus) * Curling ulcer: Ulcer in duodenum > Stomach in burns * Cameron ulcer: Ulcer in proximal stomach in hiatus hernia (vertical ulcers also known as riding ulcers) Ref:- Surgery Sixer 3rd Edition; Pg num:- 364